The diagnostic procedure of applying pressure to a suspected lesion to visualize the evacuation of coloration of the lesion is
1. Fluoroscopy
2. Diascopy
3. Arthroscopy
4. Endoscopy

Correct answer: 2. Diascopy